Treatment of digoxin overdose includes administration of all of the following except -
1. Potassium
2. Lignocaine
3. Phenytoin
4. Hemodialysis

Correct answer: 4. Hemodialysis